Floaters can be seen in following except –
1. Vitreous haemorrhage
2. Retinal detachment
3. Uveitis
4. Ac. congestive Glaucoma

Correct answer: 4. Ac. congestive Glaucoma

Explanation: Causes of floaters are:- Posterior vitreous detachment (PVD), retinal detachment, high myopia, bleeding (vitreous hemorrhage) or inflammation of eye (uveitis).